Adrenaline acts on which enzyme in glycogenolysis
1. Glucokinase
2. Hexokinase
3. Phosphorylase
4. Glucose diphosphatase

Correct answer: 3. Phosphorylase

Explanation: Epinephrine (adrenaline) stimulates glycogenolysis by activating glycogen phosphorylase.